Conversion of chondrocyte into osteogenic cells is caused by -
1. Insulin
2. Eorticosteroids
3. Growth hormone
4. Thyroxine

Correct answer: 3. Growth hormone

Explanation: Ans. is 'c' i.e., Growth hormone * A specific effect of Growth Hormone (GH) on skeletal growth is to convert chondrocytes into osteogenic cells, thus, causing specifc depostion of new bone.* This effect on bone growth is mediated by insulin like growth factor-1 (IGF-1).* Thus, conversion of chondrocytes into osteogenic cells# Caused by - growth hormone# Which is mediated by - IGF-1